which one of the following is true:
1. In a mosaic genetically different cell types arise from a single zygote.
2. In chimeras,they arise from more than one zygote.
3. Turner's syndrome individuals that do survive are found to be mosaics with a substantial fraction of normal cell.
4. All of the above

Correct answer: 4. All of the above

Explanation: The term mosaic and chimera describe animals whose cells consists of two or more population of genetically different cells.
In a mosaic, these genetically different cell types  arise from a single zygote, whereas in chimeras, they originate from more than one zygote.

Clinical significance:

If the abnormal cells in a mosaic is sufficiently large, that individual will manifest disease. Conversely, if the abnormal cells are small in comparison to normal cells, the normal cells may be sufficient to prevent disease or reduce its severity. Eg.: Turner's syndrome individuals that do survive are found to be mosaics with a substantial fraction of normal cells.